Waterfall effect is seen in:
1. Apex of lung
2. Mid lung
3. Base
4. Throughout the lung

Correct answer: 2. Mid lung

Explanation: Perfusion zones of lung: The lung is divided into three perfusion zones depending on the relationship between alveolar pressure (PA), pulmonary arterial pressure (Part) and pulmonary venous pressure (Pv). Zone I: Refers to area of zero flow, region that does not receive blood flow. It occurs when pulmonary arterial pressure is less than the alveolar pressure. Zone II: Region of lung with intermittent blood flow. In this zone pulmonary arterial pressure is greater than alveolar pressure. The alveolar pressure is greater than the venous pressure, however, so that the downstream pressure is alveolar pressure. This situation is termed a "starling resistor"or"vascular waterfall"; the flow is independent of the eventual venous pressure and depends only on the difference between pulmonary arterial pressure and alveolar pressure (Part > Palv > Pv). Zone III: Venous pressure now exceeds alveolar pressure and flow is determined by the arterial venous pressure difference. Ref: Textbook Of Medical Physiology, By Khurana, 1st Edition, Page 422.